Most frequently damaged cranial nerve with a motor component
1. Occulomotor
2. Trigeminal
3. Facial
4. Glossopharyngeal

Correct answer: 3. Facial

Explanation: Traumatic Cranial Neuropathies: the most common cranial nerves which recieve traumatic injuries include olfac, tory, facial and audiovestibular nerves the lower cranial nerves are less often involved